Meningitis in immunocompromised host is frequently caused by
1. Candida tropicalis
2. Cryptococcus neoformans
3. Trichophyton rubrum
4. Epidermophyton flocculosum

Correct answer: 2. Cryptococcus neoformans

Explanation: (B) Cryptococcus neoformans # Cryptococcus neoformans is the leading cause of meningitis in immunocompromised patients (AIDS).